Non-metastatic manifestation of Ca lung - a) Cushing Synd  b) Diabetes Mellitus   c) Carcinoid Synd  d) Jaundice  e) Hypercalcemia
1. ace
2. acd
3. bcd
4. cde

Correct answer: 1. ace